Lisfranc fracture dislocation
1. Fracture dislocation through tarso-metatarsal joints
2. fracture dislocation through ankle joint
3. Fracture dislocation through subtalar joints
4. Fracture dislocation through mid-tarsal joints

Correct answer: 1. Fracture dislocation through tarso-metatarsal joints

Explanation: Lisfranc's fracture-dislocation: A fracture-dislocation through tarsometatarsal joint(Refer: Mohindra's Fundamentals of Orthopedics, 2nd edition, pg no. 496)